Causes of anterior polar cataract –
1. Diabetes
2. Perforating corneal injury
3. Irradiation
4. Chalcosis

Correct answer: 2. Perforating corneal injury